Complete contraction of a family starts when
1. Birth of last child
2. Last child leaves the home
3. 1st Spouse dics
4. Death of last child

Correct answer: 2. Last child leaves the home